Shortest incubation period is seen in?
1. Influenza
2. Hepatitis B
3. Hepatitis A
4. Rubella

Correct answer: 1. Influenza

Explanation: Ans. is 'a' i.e., Influenza o Mumps 16 - 18 days o Influenza 2 - 3 days o Hepatitis A > 15 - 90 days o Hepatitis B 6 wk to 6 months